Exudate in rheumatic fever is -
1. Serous
2. Purulent
3. Fibrinous
4. Myxomatous

Correct answer: 3. Fibrinous